Trotter triad not included is ?
1. Conductive deafness
2. Temporoparietal neuralgia
3. Palatal paralysis
4. Seizures

Correct answer: 4. Seizures

Explanation: Ans. is 'd' i.e., Seizures Trotter's triad Trotter's triad occurs in nasopharyngeal carcinoma It includes :- i) Conductive deafness (due to Eustachian tube blockage) ii) Temporo - parietal neuralgia (due to involvement of ipsilateral Vth cranial nerve) iii) Palatal paralysis (due to involvement of Xth cranial nerve)